Cystine is formed by ?
1. Hydroxylation of cysteine molecule
2. Carboxylation of cysteine molecule
3. Peptide bond between two cysteine molecule
4. Disulfide bond between cysteine molecule

Correct answer: 4. Disulfide bond between cysteine molecule

Explanation: Ans. is 'd' i.e., Disulfide bond between cysteine molecule